Which of the following is not a complication of ocular trauma
1. Iridodialysis
2. Choroidal detachment
3. Hyphaema
4. Central serous retinopathy

Correct answer: 4. Central serous retinopathy

Explanation: Central serous retinopathy is not a complication of ocular trauma Ocular Trauma o Blunt traums o Perforation Manifestations a. Corneal edema b. Hyphaema c. Iridodialysis d. Iritis/ Uveitis e. Sphinctor tear f. Angle recession g. Trabecular meshwork tear h. Subluxation/Dislocation of lens i. Rosette cataract j. Retinal dialysis k. Retinal detachment l. Choroidal detachment m. Berlin's edema (cherry red spot) n. Optic nerve avulsion o. Nasolacrimal duct damage p. Blow out Fracture Hyphaema